What is the probable genetic defect in this child with recurrent infections, tetany, oral candidiasis & a heart murmur?
1. 21q deletion
2. 21p deletion
3. 22q deletion
4. 22p deletion

Correct answer: 3. 22q deletion

Explanation: Digeorge syndrome: Caused by 22q deletion C- Cardiac anomaly A- Abnormal facies (hypertelorism, antimongoloid slant, short philtrum, mandibular hypoplasia. T- Thymic hypoplasia C- Cleft palate H- Hypocalcemia